Spring ligament refers to -
1. Plantar calcaneo navicular ligament
2. Short plantar ligament
3. Long plantar ligament
4. Deltoid ligament

Correct answer: 1. Plantar calcaneo navicular ligament

Explanation: The plantar calcaneonavicular ligament (also known as the spring ligament) is a ligament on the underside of the foot that connects the calcaneus with the navicular bone. REF : MAHESWARI 9TH ED